Extent of kidney is from:
1. D10-L1
2. D11-L2
3. D12-L3
4. L1-L3

Correct answer: 3. D12-L3

Explanation: D12-L3